Subcapsular nephrectomy is indicated is
1. Perinephric abscess
2. Hydronephrosis
3. Pyonephrosis
4. PCKD

Correct answer: 3. Pyonephrosis